A patient hears better in noise. The diagnosis is:
1. Hyperacusis
2. Hypoacusis
3. Presbyacusis
4. Paracusis

Correct answer: 4. Paracusis

Explanation: Hyperacusis - increased sensitivity to noise Hypoacusis - decreased sensitivity to noise Presbycusis - SNHL a/w old age Paracusis - a patient hears better in noisy environment. (seen in otosclerosis)